First to be involved in Genital tuberculosis-
1. Uterus cornual part
2. Serosal layer fallopian tube
3. Submucosal layer fallopian tube
4. Muscular layer fallopian tube

Correct answer: 3. Submucosal layer fallopian tube

Explanation: Ans. is 'c' i.e., Submucosal layer fallopian tube * It is almost always a secondary infection, with primary sites being lungs, lymph nodes, abdomen, etc.* Hematogenous route is the most common mode of spread from the primary site.* Bilateral fallopian tubes are involved in 100% of the cases.* Ampulla is the most commonly affected part of the fallopian tube.* Initial site of infection is the submucosal layer (interstitial salpingitis).* Uterus is involved in 80% of the cases.* Cornu of the uterus is commonly affected, as it is in continuity with the fallopian tube.